Drug that binds bile acids in the intestine and prevents their return to liver via the enterohepatic circulation is-
1. Niacin
2. Fenofibrate
3. Cholestyramine
4. Gugulipid

Correct answer: 3. Cholestyramine

Explanation: Ans. is 'c' i.e., Cholestyramine Cholestyramineo Cholestyramine is a hypolipidemic drug which acts as a bile acid sequestrant:Binds bile acid in Enhanced extraction of Bileintestine and is itself-Interruption of entero-hepatic neither digested norcirculation(Cholesterol is absorbed withabsorbed the help of bile salts)o Compensatory increase of hepatic HMG-CoA reductase occurs & results in enhanced cholesterol synthesis thereby blunting the long term effectiveness - KDTo They are basic ion exchange resins supplied in chloride form - KDTo These resins are useful only when LDL-CH levels are raised, but not in other typeso Constipation and steatorrhea are known adverse effects - KDTo "Though safe, Cholestyramine is Unpalatable; Inconvenient; causes Nausea, Flatulence, Heart burn, Constipation Steatorrhea and Deficiency of fat soluble vitamins. Patients acceptability is poor "- KDT 6th/e p. 616